Maggots in nasal cavity are most commonly treated by-
1. Chloroform diluted with water
2. Liquid paraffin
3. Systemic antibiotics
4. Lignocaine spray

Correct answer: 1. Chloroform diluted with water

Explanation: Chloroform water or vapor must be instilled in order to anaesthetize or kill the maggots and so release their grip from the skin.